NADP is not needed in:
1. Steroid synthesis
2. Urea synthesis
3. Fatty acid synthesis
4. Reduced glutathione synthesis

Correct answer: 2. Urea synthesis

Explanation: Ans: b (Urea synthesis) Ref: Lippincott, 23th ed, p. 145; Vasudevan, 4th ed, p. 284; 5th ed, p. 181NADPH uses:Fatty acid synthesisSources of NADPH:Cholesterol synthesisGeneration of superoxide in phagocytosisNucleotide synthesisGlutathione reductionSynthesis of spingolipids. steroidsPhenyl alanine to tyrosineMet Hb to HbUronic acid pathwayDrug metabolismHMP shunt.Malic enzyme (malate to pyruvate).Cytoplasmic isocitrate dehydrogenase.6- Phosphogluconate dehydrogenase in the shunt pathway.(Glucose-6 Po4 - 6- Phosphogluconolactone)